Which of the following tumor is typically aiw VLH:
1. Hemangioblastoma
2. Hemangioendothelioma
3. Neurofibroma
4. Glioma

Correct answer: 1. Hemangioblastoma

Explanation: A i.e. Hemangioblastoma